Dying declaration can be taken by:
1. Village headman
2. Doctor
3. Magistrate
4. Any one

Correct answer: 4. Any one

Explanation: Ans. Any one